All of the following are true about blood pressure measurement, EXCEPT:
1. Cuff width should be 40% of arm. circumference
2. Diastolic blood pressure is indicated by fourth Korotkoff sound
3. Small cuff measures spuriously elevated Diastolic blood pressure
4. Monckeberg's sclerosis causes pseudohypertension

Correct answer: 2. Diastolic blood pressure is indicated by fourth Korotkoff sound

Explanation: The length and width of the blood pressure cuff bladder should be 80% and 40% of the arm's circumference, respectively. Use of an inappropriately small cuff, resulting in marked overestimation of true blood pressure, or an inappropriately large cuff, resulting in underestimation of true blood pressure. Systolic and diastolic pressures are defined by the first and fifth Korotkoff sounds, respectively. Monckeberg's sclerosis causes pseudohypertension due to vascular stiffening. Ref: O'Gara P.T., Loscalzo J. (2012). Chapter 227. Physical Examination of the Cardiovascular System. In D.L. Longo, A.S. Fauci, D.L. Kasper, S.L. Hauser, J.L. Jameson, J. Loscalzo (Eds), Harrison's Principles of Internal Medicine, 18e.